Causes of anterior polar ctaract
1. DM
2. Perforating (penetrating) corneal injury
3. Irradation
4. Chalcosis

Correct answer: 2. Perforating (penetrating) corneal injury

Explanation: B i.e. Perforating corneal injury